Which of the following is primary neurotransmitter responsible for lowering thermoregulatory set point in triggering hot flushes
1. Acetyl choline
2. Nor - Epinephrine
3. Dopamine
4. Glycine

Correct answer: 2. Nor - Epinephrine

Explanation: Nor-Epinephrine is primary neurotransmitter known to cause hot flushes in Menopausal woman.